Ketoacidosis without glycosuria is seen in
1. Aspirin poisoning
2. Rena tubular
3. Prolonged starvation
4. Paracetamol poising

Correct answer: 3. Prolonged starvation

Explanation: Starvation: In starvation, the dietary supply of glucose is decreased. Available oxaloacetate is channeled to gluconeogenesis. The increased rate of lipolysis is to provide alternate source of fuel. The excess acetyl CoA is converted to ketone bodies. The high glucagon level favors ketogenesis. The brain derives 60-75% ofenergy from ketone bodies under conditions of prolonged starvation. Hyperemesis (vomiting) in early pregnancy may also lead to starvation-likecondition and may lead to ketosis. The urine of a patient with diabetic ketoacidosis will give positive Benedict's test as well as Rothera's test. But instarvation ketosis, Benedict's test is negative, but Rothera's test will be positive.Ref: DM Vasudevan - Textbook of Biochemistry, 6th edition, page no: 144 - 145